Which of the following is not typical of Simple Febrile Seizures?
1. The age of onset is usually between 6 months and 6 years
2. The seizures last for less than 30 minutes
3. The seizures are more likely to occur if the body temperature rises rapidly
4. The seizures are followed by Todd's paralysis

Correct answer: 4. The seizures are followed by Todd's paralysis

Explanation: Seizures are not followed by Todd's paralysis. There may be tonic clonic type of seizures seen in children,in some febrile seizures may be seen in which seizures occurs when temperature rises. Each attack of seizures last for about less than 30 mins and appears normal as before the attack. Reference: GHAI Essential pediatrics, 8th edition